Which of the following type of corneal degeneration is MOST commonly seen in patients with trachoma?
1. Terrien's disease
2. Band keratopathy
3. Labrador keratopathy
4. Salzmann's nodular degeneration

Correct answer: 4. Salzmann's nodular degeneration

Explanation: Patients with trachoma are prone to develop Salzmann's nodular degeneration. This disorder is usually preceded by corneal inflammation particularly phlyctenular keratoconjunctivitis or trachoma. Patients usually presents with redness, irritation, and blurring of vision. In this condition, there is degeneration of the superficial cornea that involves the stroma, Bowman's layer, and epithelium, with superficial whitish-gray elevated nodules sometimes occurring in chains. Labrador Keratopathy is thought to be caused by exposure to ultraviolet light and is characterized in the early stages by fine subepithelial yellow droplets in the peripheral cornea. Ref: Biswell R. (2011). Chapter 6. Cornea. In P. Riordan-Eva, E.T. Cunningham, Jr. (Eds), Vaughan & Asbury's General Ophthalmology, 18e.